Features of ectopia vesicae are following except
1. Epispadias
2. Bifid clitoris
3. Undescended testis
4. X linked dominant

Correct answer: 4. X linked dominant

Explanation: Ectopia vesicae - bladder exstrophy + epispadias + undescended testis in males
and bifid clitoris in females.